insulin decreases the activity of:
1. c-AMP dependent protein kinase
2. HMG CoA-reductase
3. Phosphodiesterase
4. Acetyl CoA-carboxylase

Correct answer: 1. c-AMP dependent protein kinase

Explanation: Ans. A. c-AMP dependent protein kinaseInsulin is a hypoglycemic hormone and is released in hyperglycemia. It helps in the uptake of glucose by the cells thus promoting glycogenesis and inhibiting glycogenolysis. It increases the activity of Phospho diesterase thus decreasing the activity of c-AMP.ATP-c-AMP-3'-5'AMP